Most common tumor associated with delayed puberty is -
1. Craniopharygioma
2. Prolactinoma
3. Astrocytoma
4. Medulloblastoma

Correct answer: 1. Craniopharygioma

Explanation: Ans is 'a' i.e., Craniopharyngioma o Craniopharyngioma is the most common tumor associated with delayed puberty.o It develops from pituitary stalk with suprasellar extension from nests of epithelium derived from the rathkes pouch.o The radiologic hallmark is presence of suprasellar calcified cyst.o Calcifications are present in 70% of the patients with craniopharyngiomas.